Escape phenomenon in mineralocorticoid excess occurs due to
1. Renin
2. Mineralocorticoid like action of cortisol
3. ANP (Atrial Natriuretic Peptide)
4. Angiotensin II

Correct answer: 3. ANP (Atrial Natriuretic Peptide)